Posterior urethral valve is diagnosed on micturating cystometrogram by-
1. Dilatation of posterior urethra
2. Bladder neck contracture
3. Vesico-Ureteric reflex
4. Bladder wall hypertrophy

Correct answer: 1. Dilatation of posterior urethra

Explanation: Ans. is 'a' i.e., Dilatation of posterior urethra Micturating cystourethrogram findings i) Dilation of prostatic urethra ii) Transverse linear filling defect corresponding to the valves.